Most common cause of Cheyne-Stokes breathing is?
1. Diabetic ketoacidosis
2. CHF
3. Bulbar polio
4. Pontine hemorrhage

Correct answer: 2. CHF

Explanation: Ans. is'b'i.e., CHF(Ref Clinicalmedicine p. 713)Cause of Cheyne-Stokes respiration,Normally occurs during sleep at high altitudeCongestive cardiac failureDamage to respiratory centers